Which of the following structure passes through Guyon's canal
1. Flexor carpi radialis
2. Radial nerve
3. Ulnar nerve
4. Median nerve

Correct answer: 3. Ulnar nerve

Explanation: Guyon's canal Contents - Ulnar nerve, ulnar artery passing in ulnar tunnel Roof - Formed by palmar carpal ligament Floor - Formed by flexor retinaculum APPLIED ASPECT - Handle bar injury - Commonly seen in long term bikers - Sensory loss in 1 1/2 fingers on ulnar side